The most common artery for invasive blood pressure monitoring:-
1. Radial artery
2. Ulnar artery
3. Femoral artery
4. Axillary artery

Correct answer: 1. Radial artery

Explanation: The radial artery is commonly cannulated because of its superficial location and substantial collateral flow. The radial artery is chosen for cannulation primarily because of the superficial nature of the vessel and ease of maintenance of the site. The radial artery lies between the brachioradialis tendons and flexor carpi radialis tendons, approximately 1-2 cm from the wrist, medial to the bony head of the distal radius. Before cannulation of radial artery The Modified Allen's Test has been the most frequently used method to clinically assess adequacy of ulnar artery collateral flow despite the lack of evidence that it can predict ischemic complications in the setting of radial artery occlusion. Doppler ultrasound can be used to evaluate collateral hand perfusion in an effort to stratify risk of potential ischemic injury from cannulation.